Duration of 2nd heart sound is:
1. 0.15 sec
2. 0.12 sec
3. 0.08 sec
4. 0.1 sec

Correct answer: 2. 0.12 sec

Explanation: Second heart sound duration is 0.1 to 0.14 sec (average 0.12 sec).